New RNTCP software online to monitor TB control program is:
1. NIKSHAY
2. NICHAY
3. E- DOTS
4. NIRBHAI

Correct answer: 1. NIKSHAY

Explanation: Ans. a. NIKSHAYRef: Parks Text book of Preventive and Social Medicine, 24th Ed; Page No-448New RNTCP software to online monitor TB control program is NIKSHAY; developed by Central TB Division in collaboration with National Informatics Center.Other new initiatives of RNTCP is:99 DOTS: Improve adherence to treatment. Patient has to give missed call to hidden number (underneath the drug) after eating the drug.Bedaquiline new FDA approved drug of MDR cases.